Antibiotic treatment of choice for treating cholera in an adult is a single dose of -
1. Tetracycline
2. Contrimoxazole
3. Doxycycline
4. Furazolidone

Correct answer: 3. Doxycycline

Explanation: - a single oral dose of doxycycline 300mg for adults and 6mg/kg for children under 15 years has been proved effective for chemoprophylaxis for cholera. Reference : Park's textbook of preventive and social medicine, 23rd edition, pg no:233